Exclusive breast feeding is recommended by WHO upto:
1. 3 months
2. 4 months
3. 6 months
4. 9 months

Correct answer: 3. 6 months

Explanation: Ans. C: 6 months Breastfeeding is the normal way of providing young infants with the nutrients they need for healthy growth and development. Colostrum, the yellowish, sticky breast milk produced at the end of pregnancy, is recommended by WHO as the perfect food for the newborn, and feeding should be initiated within the first hour after birth. Exclusive breastfeeding is recommended up to 6 months of age, with continued breastfeeding along with appropriate complementary foods up to two years of age or beyond.